Nitric oxide synthase:
1. Is inhibited by Ca++
2. Catalyze a de oxygenase reaction
3. Accept electron from NADH.
4. Requires NADPH FAD, FMN, Heme iron.

Correct answer: 4. Requires NADPH FAD, FMN, Heme iron.

Explanation: Ans. D. Requires NADPH FAD, FMN, Heme ironNitric oxide synthase is a very complex cytosolic enzyme which requires five redox co-factors: NADPH, FAD, FMN, Heme and tetrahydrobiopterin (FH4 ). NOS activity depends on increased conc, of Ca2++ ions.